Crosslinking in denture base resin is contributed by:
1. Glycol dimethacrylate
2. Benzoyl peroxide
3. N-Para toluidine
4. Methyl methacrylate

Correct answer: 1. Glycol dimethacrylate

Explanation: Composition of Heat activated denture base resin
Liquid:

Monomer – MMA
Plasticizer – Dibutyl phthalate
Cross-linking agent – Ethylene glycol dimethacrylate
Inhibitor – Hydroquinone (0.006%).